Best prognostic type of Hodgkin's lymphoma is -
1. Lymphocytic predominant
2. Lymphocytic depletion
3. Mixed cellularity
4. Nodular sclerosis

Correct answer: 1. Lymphocytic predominant

Explanation: Hodgkin's lymphoma (HL) is a type of lymphoma, which is generally believed to result from white blood cells of the lymphocyte kind. Symptoms may include fever, night sweats, and weight loss. Often there will be non-painful enlarged lymph nodes in the neck, under the arm, or in the groin. Those affected may feel tired or be itchy. About half of cases of Hodgkin's lymphoma are due to Epstein-Barr virus (EBV). Other risk factors include a family history of the condition and having HIV/AIDS. There are two major types of Hodgkin lymphoma: classical Hodgkin lymphoma and nodular lymphocyte-predominant Hodgkin lymphoma. Diagnosis is by finding Hodgkin's cells such as multinucleated Reed-Sternberg cells (RS cells) in lymph nodes. Hodgkin lymphoma may be treated with chemotherapy, radiation therapy, and stem cell transplant. The choice of treatment often depends on how advanced the cancer is and whether or not it has favorable features. In early disease a cure is often possible. The percentage of people who survive five years in the United States is 86%. For those under the age of 20 rates of survival are 97%. Radiation and some chemotherapy drugs, however, increase the risk of other cancers, heart disease, or lung disease over the subsequent decades.